A man was brought to the emergency after meeting with an accident and injured perineum. He feels an urge to micturate but is unable to pass urine. There is blood at the tip of the meatus with extensive swelling of the penis & scrotum. What is the possible site of the injury
1. Penile urethra rupture
2. Bulbar urethra
3. Membranous urethra
4. Urinary bladder

Correct answer: 2. Bulbar urethra

Explanation: Due to injury tobulbous spongy urethra(straddle injury or rupture of urethra below perineal membrane), urine can accumulate in: Scrotum Penis Ant. Abdominal wall Superficial perineal pouch BS- bulbous spongiosus; P- prostatic urethra; M- membranous urethra; PS- penile urethra PM- perineal membrane; DPP- deep perineal pouch; SPP- superficial perineal pouch; PB- perineal body UGD- uro-genital diaphragm